Drug of choice of Neonatal seizure is-
1. Phenytoin
2. Phenobarbitone
3. Diazepam
4. Sodium valproate

Correct answer: 2. Phenobarbitone

Explanation: Ans. is 'b' i.e., Phenobarbitone o Drug of choice for Neonatal Seizure is --> Phenobarbitone o Phenytoin can be used as an alternative if the seizures are not controlled. o Therapy Alogrithtn includes 10% Dextrose followed by Calcium Gluconate, i.v. to control seizures If no response --> Phenobarbitone